Obstetric care will mostly affet
1. Early neonatal mortality
2. Late neonatal mortality
3. Perinatal mortality
4. Infant mortality

Correct answer: 3. Perinatal mortality

Explanation: Ref:Park's Textbook of Preventive and Social Medicine 25th Ed